A young adult concludes that he is never going to be in a relationship after his experience of twice being rejected for a date. This is:
1. Personalization
2. All or none thinking
3. Over generalization
4. Selective abstraction

Correct answer: 3. Over generalization

Explanation: The example in the question is of overgeneralization. In this cognitive error, the individual makes conclusions based on very little data or experience. Alternative possibilities are not considered.